Stereotactic Radio-surgery is a form of –
1. Radiotherapy
2. Radioiodine therapy
3. Robotic Surgery
4. Cryo Surgery

Correct answer: 1. Radiotherapy

Explanation: Despite its name, radiosurgery is a form of radiation therapy, not surgical procedure.